Starch is a:
1. Polysaccharide
2. Disaccharide
3. Protein
4. None of these

Correct answer: 1. Polysaccharide

Explanation: Ans. A. PolysaccharideStarch is a homo polysaccharide composed of D- glucose units held together by a-glycosidic bonds, (a 1-- 4 linkages; at branching points a 1 -- 6 linkages). It is also known as a glucosan. Hydrolyzed by enzyme amylase. It has two forms: a- amylase present in saliva and pancreatic juice. b-amylase present in sprouted grains and malts.